Sandfly can fly upto –
1. 50 yards
2. 100 yards
3. 200 yards
4. 300 yard

Correct answer: 1. 50 yards